New vaginal ring used to prevent pregnancy for an entire year
1. Segesterone acetate
2. Desogestrel
3. Norgestimate
4. Levonorgestrel

Correct answer: 1. Segesterone acetate

Explanation: It is a ring shaped non biodegradable , flexible, white opaque system contain a estrogrn n progesterone ative compounds.